A 34-year-old woman has Raynaud's phenomenon associated with systemic sclerosis (scleroderma). Which of the following is the most appropriate management for this condition?
1. amphetamines
2. ergotamine
3. beta-blocking drugs
4. warm clothing

Correct answer: 4. warm clothing

Explanation: Surgical sympathectomy usually provides only temporary improvement and does not prevent progression of the vascular lesion. Nifedipine is now the drug of choice for treating symptoms not responding to local warming measures (gloves, mitts) and avoidance of smoking and cold. Reserpine, alpha-methyldopa, and prazosin may also be useful.